Not true about gyneocamastia is
1. Can be drug induced
2. Klinefelter's syndrome
3. Seen in cryptoorchidism
4. None of the above

Correct answer: 4. None of the above

Explanation: Gynaecomastia is hypertrophy of male breast more than usual due to increase in ductal (epithelial) and connective tissue (stromal) elements often attaining features of female breast. It can be unilateral or bilateral. Bilateral can be symmetrical or asymmetrical. Etiology is Oestrogen excess--increased estradiol secretion due to testicular tumour (Leydig cell) or nontesticular tumours from adrenal cortex, lung, liver; hyperthyroidism (increases conversion of androgen to estrogen), liver diseases, oestrogen therapy for prostate cancer. Androgen deficiency--aging, Klinefelter's/Kallmann syndromes, eunuch, ACTH defi ciency. Secondary testicular failure--cryptorchidism, orchitis, trauma, CRF, etc. Drugs (25%):Increases estrogen activity (digitalis, anabolic steroid)/estrogen synthesis (reserpine, theophylline, frusemide). Inhibition of testosterone synthesis--cimetidine, phenytoin, spironolactone. Ref; (page no; 527 ) 5th edition of SRB'S manual of Surgery.